All of the following condition are associated with granulomatous pathology, EXCEPT:
1. Wegner's Granulomatosis (WG)
2. Takayasu Arteritis (TA)
3. Polyarteritis Nodosa (Classic PAN)
4. Giant Cell Arteritis (GCA)

Correct answer: 3. Polyarteritis Nodosa (Classic PAN)

Explanation: Classic PAN is characterised by segmental transmural necrotizing inflammation of small to medium sized arteries in all organs except lung. Ref: Robbin's Basic Pathology, 7th Edition, Page 350, 347 - 352.